"Inverted beer bottle appearance" is seen in
1. Lipodermatosclerosis
2. Sporotrichosis
3. Actinomycosis
4. Filariasis

Correct answer: 1. Lipodermatosclerosis

Explanation: Lipodermatosclerosis or venous eczema is characterized by increased venous pressure (as in DVT, varicose veins) which allows escape of RBCs,WBCs and fibrinogen outside the vessels causing inflammatory changes over the skin.
This is seen typically over the ankle region giving "Inverted beer bottle appearance".